Phalen's test positive in
1. Ulnar bursitis
2. Tennis-elbow
3. Carpal tunnel syndrome
4. De - Quervain's disease

Correct answer: 3. Carpal tunnel syndrome

Explanation: (Carpal tunnel syndrome) (248- Apley's 8th)CARPAL-TUNNEL SYNDROME - Pain & paraesthesia occurs in the distribution of the median nerve*** Common in - Menopause, RA, Pregnancy, Myxoedema* Symptoms - Wasting of the thenar muscles weakness of the thumb abduction"Phalen's test" - Forced palmar flexion may induce pain or tingling"Map test" - asking the patients tingling to mark out the affected area may show that it corresponds to the sensory distribution of the median nerveDe- Quervain's disease (Stenosing tenovaginitis) - painful thickening of the tendon sheath containing EPB and Abductor pollicis longus"Finkelstein test" - Abduction of the thumb against resistance and passive adduction of the thumb across the palm are both painful* Kanaval's sign is positive in tenosynovitis